Retinoblastoma gene regulates-
1. Gi - S phase
2. G2 - M phase
3. Go - S1 phase
4. S - G1 phase

Correct answer: 1. Gi - S phase

Explanation: Ans. is 'a' i.e., G1- S phaseo Phosphorylation of RB is a molecular "On-off' switch for cell cycle.o It regulates cell cycle at G,- S phase (has been explained in details in previous explanations).